The enquiry into the circumstances of death is called :
1. Homicide enquiry
2. Inquest report
3. Open verdict
4. Adjourned verdict

Correct answer: 2. Inquest report

Explanation: B i.e. Inquest report